Dynamic response is due to:
1. Primary ending
2. Secondary ending
3. Tertiary ending
4. None of the above

Correct answer: 1. Primary ending